Aggregates of 'tau protein' seen in Hippocampus of an elderly man  is
1. Miculicz cells
2. Neurofibrillary'tangles
3. Senile plaques
4. Alcoholic/ Mallory hyaline bodies

Correct answer: 2. Neurofibrillary'tangles

Explanation: Neurofibrillary tangles (Disease: Alzeihmer's disease)